Incubation period of hepatitis B is:
1. 6 weeks to 6 months
2. 6 days to 6 weeks
3. 6 months to 6 years
4. More than 6 years

Correct answer: 1. 6 weeks to 6 months

Explanation: Incubation period of hepatotrophic viruses Virus Incubation period Hepatitis A 15-45 days Hepatitis B 30-180 days with average of 75 days Hepatitis C 15-160 days Hepatitis D 30-180 days Hepatitis E 14-60 days